Spinal cord in an infant terminates at
1. L1
2. L2
3. L3
4. L4

Correct answer: 3. L3

Explanation: In premature & term neonates- it lies b/w 1st & 3rd lumbar vertebrae. In children between ages of (1-7yrs)- it lies between 12th thoracic and 3rd lumbar vertebra. In adults, it terminates at the level of middle 3rd of body of 1st lumbar vertebra which corresponds approximately to transpyloric plane. Spinal cord occupies superior 2/3rd of vertebral canal It continues cranially with medulla oblongata, just below the level of foramen magnum, at the upper border of atlas and terminates caudally as conus medullaris. During development, vertebral column elongates more rapidly than spinal cord, so there is increasing discrepancy b/w anatomical level of spinal cord segments & their corresponding vertebrae.